True about juvenile rickets is:
1. Development anomalies of dentin and enamel occur.
2. Delayed eruption of the dentition.
3. Misalignment of the teeth.
4. All of the above.

Correct answer: 4. All of the above.

Explanation: The effects of rickets on the teeth, which included developmental abnormalities of dentin and enamel, delayed eruption, and misalignment of the teeth in the jaws.